The size of actual focal spot is:
1. 1x3 mm
2. 1x1 mm
3. 1x4 mm
4. 1X2 mm

Correct answer: 1. 1x3 mm